Anaphylaxis refers to the
1. Severe reaction following  injection of protein solutions in a sensitized individual
2. Severe reaction following primary injection of protein solutions
3. State of immunity developed by repeated injections of any foreign substance
4. All of the above

Correct answer: 1. Severe reaction following  injection of protein solutions in a sensitized individual

Explanation: To elicit the anaphylactic reaction exposure to the allergens for the first time (priming) is necessary, the reaction can be seen on reexposure only.